In Bethesda system, in 'LSIL' histologic changes are seen in:
1. Basal One Third
2. Basal Half To Two Third
3. Whole thickness except superficial layers
4. Whole Thickness

Correct answer: 1. Basal One Third

Explanation: CIN Bethesda System Description CIN I LSIL Dysplastic cells in lower 1/3 of cervix CIN II HSIL Dysplastic cells upto 2/3of cervix CIN III HSIL Dysplastic cells in > 2/3 of cervix Carcinoma in situ HSIL Dysplastic cells in full thickness but basement membrane is intact